Acute aortic regurgitation occurs in-
1. Infective endocarditis
2. Ankylosing spondylitis
3. Marfan's syndrome
4. Rheumatoid arthritis

Correct answer: 1. Infective endocarditis

Explanation: In patients with acute severe AR, as may occur in infective endocarditis, aortic dissection, or trauma, the LV cannot dilate sufficiently to maintain stroke volume, and LV diastolic pressure rises rapidly with associated marked elevations of LA and PA wedge pressures. Aortic regurgitation Valvular Congenital (bicuspid) Endocarditis Rheumatic fever Myxomatous (prolapse) Traumatic Syphilis Ankylosing spondylitis Root disease Aortic dissection Cystic medial degeneration Marfan's syndrome Bicuspid aortic valve Nonsyndromic familial aneurysm Aortitis Hypertension ( Harrison's principle of internal medicine,18th edition,pg no. 1943)